13-year-old female child presented with recurrent sinusitis fever, arthralgia, respiratory distress, Hematuria and hypertension. Renal biopsy showed necrotizing granuloma. The anti proteinase-3 ANCA was positive. The most likely diagnosis is:
1. Polyarteritis Nodosa
2. Wegener's granulomatosis
3. Microscopic polyangiitis
4. Churg-Strauss syndrome

Correct answer: 2. Wegener's granulomatosis

Explanation: Respiratory & Renal involvement along with positive c-ANCA (Anti Proteinase 3) indicates Wegener's Granulomatosis